A 52 year old lady presents with constant leakage of urine and dysuria two weeks after a complicated total abdominal hysterectomy. A diagnosis of Vesicovaginal fistula is suspected. The most important test for the diagnosis is:
1. Triple Swab Test
2. Urine culture
3. Cystoscopy
4. IVP

Correct answer: 1. Triple Swab Test

Explanation: Triple swab test is the investigation of choice to establish the diagnosis of a suspected vesico vaginal fistula. It confirms the presence of vesico vaginal fistula, and also differentiate it from uretero vaginal and urethro vaginal fistula. Ref: William's Gynecology, 1st Edition, Page 574; Textbook of Gynecology By DC Dutta, 4th Edition, Page 386, 7.